Bezold abscess is located in
1. Submandibular region
2. Sternocleidomastioid muscle
3. Digastric triangle
4. Infratemporal region

Correct answer: 2. Sternocleidomastioid muscle

Explanation: Bezold abscess: It can occur following acute coalescent mastoiditis when pus breaks through the thin medial side of the tip of the mastoid and presents as a swelling in the upper part of the neck. The abscess may (i) Lie deep to sternocleidomastoid pushing the muscle outwards. (ii) Follows the posterior belly of digastric and present as swelling between the tip of the mastoid and angle o the jaw, (iii) Present in the upper part of the posterior triangle, (iv) Reaches the parapharyngeal space or (v) Tracks down along the carotid vessels. (Ref: Textbook of diseases of ENT, PL Dhingra, 7th edition, pg no. 87)